Cattle track appearance is seen in
1. CRVO
2. CRAO
3. Diabetis
4. Syphilis

Correct answer: 2. CRAO

Explanation: Central retinal artery occlusion (CRAO): It occurs due to obstruction at the level of lamina cribrosa.Symptoms: Patient complains of sudden painless loss of vision.Signs: Direct pupillary light reflex is absent. On ophthalmoscopic examination, retinal arteries are markedly narrowed but retinal veins look almost normal. Retina becomes milky white due to edema. The central part of the macular area shows cherry-red spot due to vascular choroid shining through the thin retina of this region. In eyes with a cilioretinal artery, part of the macular will remain normal. Blood column within the retinal veins is segmented (cattle trucking).After a few weeks, the edema subsides, and atrophic changes occur which include grossly attenuated thread-like arteries and consecutive optic atrophy.Ref: Khurana; 4th edition; Pg.No. 255